HLA associated with Dermatitis herpetiform is:
1. HLA A5
2. HLA B27
3. HLA B8
4. HLA A28

Correct answer: 3. HLA B8

Explanation: Ans. C. HLA B8a. Dermatitis herpetiformis is a disease characterized by erythematous vesicular or bullous lesions and severe itching. The disease most commonly occurs between 20-40 years of age and men are more commonly affected. IgA is deposited in the reticular dermis of the uninvolved skin suggesting an immune etiology.b. More than 90% of patients express the HLA B8/DRW3 and HLA DQW2. It is also associated with gluten sensitive enteropathy. Polymorphism of the eruption (erythematous blotches or stain, grouped vesicle or bullae) and intense itching are characteristic features of the disease.c. The attacks last for weeks or months with intervals of partial remission over a period of years. General health of the patient is unaffected except due to sleeplessness caused by irritation or secondary infection. Although any part of the body may be involved but mucous membranes are involved only in 1% of the cases.d. Distribution is usually bilateral and symmetrical and forearms, thighs, inter-scapular region and buttocks beings most commonly involved. Dapsone is the drug of choice and is given 50mg 1-4 times a day orally.e. Most of the patients are controlled by 100mg daily dose but the require pent varies from time to time. The effect of dapsone is dramatic and rapid with all signs disappearing in 48 hours.f. However, the treatment must be continued indefinitely as it is suppressive and not curative. It is also necessary to treat the patient with a gluten free diet because this reduces the dose of drug required to suppress the eruption.